Which of the following is true about a child with severe acute malnutrition?
1. His height for age should be < -3 z score
2. His weight for age should be < -3 z score
3. His weight for height should be < -3 z score
4. His mid arm circumference should be < 13.5 cm

Correct answer: 3. His weight for height should be < -3 z score

Explanation: Diagnostic criteria for severe acute malnutrition in children between 6 months to 5 year age include: 1. Weight/height or Weight/length < -3 Z score, using the WHO Growth Standards 2. Presence of bipedal edema of nutritional origin 3. Mid- upper arm circumference (MUAC) < 115 mm Criteria for discharge of a child with severe acute malnutrition from hospital include: Child should have lost edema & started gaining weight All infections & micro nutrient deficiencies should have been taken care of Child's appetite should have improved & he should be accepting well orally Mother should be confident of taking care of child at home